Low serum haptoglobin in hemolysis is masked by -
1. Pregnancy
2. Liver disease
3. Bile duct obstruction
4. Malnutriotion

Correct answer: 3. Bile duct obstruction

Explanation: Haptoglobin is an acute phase protein and its level increased in case of any inflammation. In hemolytic anemias there is fall in serum haptoglobin levels. If there is any inflammation along with it there will be rise in haptoglobin levels as it is an a/c phase protein (eg biliary obstruction causes inflammation) Ref:Postgraduate Hematology by Victor Hoffbrand pg 127 Ref Robbins 9/e pg 419